Uvula deviated to right side, which nerve is involved?
1. Left vagus
2. Left glossopharangeal
3. Left hypoglossal
4. Right hypoglossal

Correct answer: 1. Left vagus

Explanation: Ans: a (Left vagus)In case of unilateral palatal palsy, the palatal arch on that side is at a lower level than on the healthy side. On saying 'ah', the uvula is pulled to the healthy side by the normal palate.Remember the code--Cranial nerve palsies 12 & 5 (12+5=17) cause movement towards the side of weakness, and weakness of cranial nerves 7 and 10(10+7= 17) cause movement towards opposite or healthy side.Don't get surprised this was asked in the morning session of the exam in anatomy.......